On membrane removal of a lesion, Sign (Arrows) seen in Psoriasis
1. Gottroris sign
2. Darier's sign
3. Auspitzsign
4. Crowe's sign

Correct answer: 3. Auspitzsign

Explanation: Auspitz sign (Feature: Bleeding points on removal of membrane in Psoriasis)